Which is not an antiviral drug:
1. Vidarbine
2. Acyclovir
3. Zidovudine
4. Mitomycin

Correct answer: 4. Mitomycin

Explanation: dRef: KDT, 5th ed, p. 725, 783, 770 & 4th ed, p. 781